Which of the following steps has proven benefit in decreasing puerperal infection following cesarean section?
1. Non closure of peritoneum
2. Single layer uterine closure
3. Administration of single dose of ampicillin or 1st generation cephalosporin at the time of cesarean
4. Skin closure with staples than with suture

Correct answer: 3. Administration of single dose of ampicillin or 1st generation cephalosporin at the time of cesarean

Explanation: Prophylactic antibiotics for the cesarean section have been conclusively proven to be beneficial.The first dose is administered at clamping and at least 2 more doses given 8th hourly intravenously in elective cases. Single-dose prophylaxis has been recommended by the ACOG. Both ampicillin and first-generation cephalosporins have been shown to have equal value.(refer to pgno: 436 Sheila 2nd edition )